Middle lobe of prostate is present in between
1. Prostratic urethra & Ejaculation duct
2. Prostratic urethra & rectum
3. Ejaculation duet & pubis
4. Pubis and rectum

Correct answer: 1. Prostratic urethra & Ejaculation duct

Explanation: The prostate can be divided in two ways: by zone, or by lobe. It does not have a capsule; rather an integral fibromuscular band surrounds it.It is sheathed in the muscles of the pelvic floor, which contract during the ejaculatory process. Ref - BDC 6e vol2 pg403